1% silver nitrate is used for:
1. Ophthalmia neonatorum
2. Sympathetic ophthalmitis
3. Inclusion conjunctivitis
4. Pharyngoconjunctival fever

Correct answer: 1. Ophthalmia neonatorum

Explanation: Ans. A. Ophthalmia neonatorum1% silver nitrate (crede's method) is used for Ophthalmia neonatorum acquired during birth caused by Neisseria gonorrhea in mother's vagina